Peripheral and central chemoreceptors respond to?
1. Increased arterial p
2. Increased arterial Oxygen
3. Increased arterial CO2
4. Decreased arterial CO2

Correct answer: 3. Increased arterial CO2

Explanation: ANSWER: (C) Increased arterial CO2REF: Ganong's 22nd ed chapter 36, Guyton and Hall 11th edition page 211 & 518Chemoreceptors act principally to detect variation of the oxygen concentration in the arterial blood, whilst also monitoring arterial carbon dioxide and pH.The chemoreceptors are chemosensitive cells sensitive to oxygen lack, carbon dioxideexcess, and hydrogen ion excess. They are located in several small chemoreceptor organs about 2 millimeters in size (two carotid bodies, one of which lies in the bifurcation of each common carotid artery, and usually one to three aortic bodies adjacent to the aorta).Carotid bodies and aortic bodies detect changes primarily in oxygen. They also sense increases in C02 partial pres sure and decreases in arterial pH, but to a lesser degree than for 02.